The ejection systolic murmur in hypertrophic obstructive cardiomyopathy is diminished when a patient -
1. Parforms the valsalva maneuver
2. Lies down
3. Inhales amyl nitrite
4. Stands up

Correct answer: 2. Lies down

Explanation: Ref:Harrison's 19th E pg 1568. This increases venous return. And hence amount of blood in LV. In HOCM the blood acts as a physical barrier between hypertrophied septum and anterior mitral leaflet. As the patient lies down, venous return increases, further increasing the blood coming to the ventricles. This blood prevents the hypertrophied septum coming in contact with the anterior leaflet of the mitral Valve. Hence murmur reduces.